All the following diseases are associated with H1LA B-27 & Uveitis, except:
1. Bechcet's syndrome
2. Psoriasis
3. Ankylosing Spondylitis
4. Reiter's syndrome

Correct answer: 1. Bechcet's syndrome

Explanation: Answer is A (Behcet's syndrome) : Behcet's syndrome is associated with HLA B5 and HLA B5 / - Also remember: Narcolepsy is associated with HLA DR2 and has exceptionally high relative risk o 'more than 100% 130%.Q